Lymphatic drainage of the cervix occurs by all of the following lymph nodes, EXCEPT?
1. Parameterial lymph nodes
2. Deep inguinal lymph nodes
3. Obturator lymph nodes
4. Ext. iliac lymph nodes

Correct answer: 2. Deep inguinal lymph nodes

Explanation: Principal nodes involved in the lymphatic drainage of cervix are the obturator, common iliac, external iliac, internal iliac and the nodes of parametrium. Lymphatics from cervix do not drain into the deep iuguinal lymph nodes.